Normal IQ is
1. 45
2. 85
3. 65
4. 100

Correct answer: 4. 100

Explanation: IQ ranges of 70-80 Boderlline deficiency 80-90 dullness 90-110 normal/ average intelligence 110-120 superior intelliegnce 120-140 very superior intelligence >140 genius Ref: Wikipedia.